Congenital hypercoagulability states are all of the followings, except:
1. Protein C deficiency
2. Protein S deficiency
3. Anti-phospholipid antibody syndrome
4. MTHF gene mutation

Correct answer: 3. Anti-phospholipid antibody syndrome